Smoking in pregnancy causes:a) IUGRb) PIHc) APHd) PPH
1. ac
2. bc
3. ad
4. b

Correct answer: 1. ac

Explanation: Smoking increase the risk of :

Preterm labour
Fetal growth restriction
Low birth weight
Attention deficit/Hyperkinetic disorder t ypically identified by school age
Behavioural learning problems
Besides the above fetal problems it increase the risk of pregnancy complications related to vascular damage, such as placental insufficiency and placental abruption.